Postural hypotension is not seen in
1. Diabetes
2. Hypoglycemia
3. Tabes dorsalis
4. Anti hypertensive drugs

Correct answer: 2. Hypoglycemia

Explanation: Postural hypotension may occur in patients with tabes dorsalis because of interruption of circulatory reflexes. In patients with polyneuropathies, autonomic involvement is not uncommon. Postural hypotension is uncommon in diabetes but can occur secondary to autonomic neuropathy. Symptoms are rare and include dizziness, weakness, blurred vision, tiredness, and loss of consciousness. They have a poorer prognosis than patients with symptomatic autonomic neuropathy without postural hypotension. Drug classes at greater risk for development or exacerbation of orthostatic hypotension may be identified in nitrates, a-antagonists and non-dihydropyridine calcium channel blockers, while ACE-inhibitors, angiotensin II receptor antagonists, dihydropyridine calcium channel blockers and b-blockers carry a lower risk Ref Davidson 23rd edition pg 461